Bridging necrosis is characteristically seen in:
1. Acute hepatitis
2. Chronic hepatitis
3. Both of the above
4. Nonel of the above

Correct answer: 3. Both of the above

Explanation: In severe cases of acute hepatitis, confluent necrosis of hepatocytes may lead to bridging necrosis connecting portal-to-portal, central-to-central, or portal-to-central regions of adjacent lobules. Hepatocyte swelling and regeneration compress sinusoids, and the more or less radial array of hepatocyte plates around terminal hepatic veins is lost. Bridging fibrosis is an important component of severe examples of chronic viral hepatitis and steatohepatitis. Ref: Robbins 8th edition Chapter 18.